Excessive sexual desires in Male's is called as
1. Nymphomania
2. Fetishism
3. Satyriasis
4. Frigidity

Correct answer: 3. Satyriasis

Explanation: Excessive sexual desire in Male's - Satyriasis.
Excessive sexual desire in Female's - Nymphomania.